Max duration of time spent is in NREM stage?
1. I
2. II
3. III
4. IV

Correct answer: 2. II

Explanation: Ans, B. IIREM sleep occupies 20-30% of total sleep and NREM sleep ocupies 60-70% (state I: 5-70%, stage II : 40-50%, stage III & IV : 15_20%)